The time period that elapses between the physical emotional stress arid the hair loss is about -
1. 21 days
2. 30 days
3. 3 months
4. 6 months

Correct answer: 3. 3 months